Body mass index is also known as -
1. Brocca's index
2. Corpulence index
3. Quetelet's index
4. Lorentz's formula

Correct answer: 3. Quetelet's index

Explanation: Body mass index or quetelet's index = weight in kg / height in metre square. Ref- Park's textbook of Preventive and Social Medicine 24th edition. .